Which of the following structure is known as the centre for 'sleep switch'?
1. Suprachiasmatic nucleus
2. Ventro lateral preoptic area
3. Neo cortex
4. Nucleus of tractus solitarius

Correct answer: 2. Ventro lateral preoptic area

Explanation: Ventro lateral preoptic area in anterior hypothalamus plays a key role in regulation of sleep. It acts as a sleep generating nucleus thus it serves as a centre for sleep switch. Suprachiasmatic nucleus is responsible for the circadian rhythm. Ref: Ganong's Review of Medical Physiology, 23rd Edition, Page 236